Nerve supply of stapedius is:
1. 2nd nerve
2. 3rd nerve
3. 5th nerve
4. 7th nerve

Correct answer: 4. 7th nerve

Explanation: Ans. is 'd' i.e. 7th C.N. Muscles of the ossicles in middle ear : Stapedius - N.S. is VII CN Tensory Tympanis - N.S. is Mandibular nerve (a br. of trigeminal (V) CN).